The lung disease associated with mesothelioma is:
1. Silicosis
2. Asbestosis
3. Bagassosis
4. Anthracosis

Correct answer: 2. Asbestosis

Explanation: The most important factor for the development of mesothelioma is exposure to asbestos primarily the amphiboles crocidolite and amosite. Asbestos: is a naturally occurring group of fibres. There are two subgroups; Serpentine group: consist of chrysotile Amphiboles group: crocidolite, amosite, tremolite, anthophyllite and actinolite There are four main diseases associated with inhalation of asbestos fibres. Mesothelioma - a form of cancer mainly affecting the mesothelial cells. Asbestos related lung cancer Asbestosis - a non-malignant scarring of the lung tissue a form of pneumoconiasis. Non malignant pleural disease (diffuse pleural thickening and pleural plaques) Pathophysiology: There are 4 principal processes by which asbestos affects the pleura 1. The fibers irritate the pleura, thereby inducing scarring or a more malignant process 2. The fibers may pierce the mitotic spindle of cells, thereby disrupting mitosis leading to chromosomal damage 3. They also induce the generation of iron-related reactive oxygen species (ROS) causing DNA damage 4. Asbestos also induces phosphorylation of the mitogen-activated protein (MAP) kinases which increases the expression of early-response proto-oncogenes. Ref: Asbestos: Risk Assessment, Epidemiology, and Health Effects, edited by Samuel P. Hammar, Ronald F. Dodson, Page 314